The normal value of Fetal scalp pH is?
1. 7.3
2. 6.9
3. 7
4. 7.1

Correct answer: 1. 7.3